Which of the following condition is associated with thymoma?
1. Myasthenia gravis
2. Rheumatoid arthritis
3. Scleroderma
4. Renal failure

Correct answer: 1. Myasthenia gravis

Explanation: In patients with myasthenia gravis, thymus is abnormal in 75% cases, it is hyperplastic in 65% and thymoma is present in 10% of cases. Reference: Harrison's Principles Of Internal Medicine 18th edition chapter 386.